Plica triangularis is present in
1. Antero-inferior part of tonsil
2. Dorsum of tongue
3. Inlet of larynx
4. None

Correct answer: 1. Antero-inferior part of tonsil

Explanation: The plica triangularis is a triangular vestigeal fold of mucous membrane covering the anteroinferior part of the tonsil. The plica semilunaris, is a similar semilunar fold that may cross the upper part of the tonsillar sinus. Ref: BD Chaurasia's HUMAN ANATOMY, Volume 3, 4th edition.